All of the following drug is a reverse transcriptase inhibitor
1. Indinavir
2. Ritonavir
3. Nelfinavir
4. Abacavir

Correct answer: 4. Abacavir

Explanation: Refer KDT 6/e p772 All drugs ending with navir are protease inhibitors. Abacavir is an NRTI